True about endodermal sinus tumors:a) Schiller duval bodies seenb) It is a benign tumourc) ↑HCGd) It is seen in young individualse) It is a malignant tumour
1. acd
2. bde
3. ade
4. ad

Correct answer: 3. ade

Explanation: Endodermal sinus tumor/Yolk sac tumor:
• Endodermal sinus (yolk sac) tumour is third most common malignant germ cell tumour of ovary affecting mostly children or young women. (Age group 14–20 years.)
• Tumour is highly malignant and is most rapidly growing tumour of whole body.
• Histologically the pathognomic finding is Schiller - Duval bodies which is a single papilla lined by tumour cells with a central blood vessel.
• Due to high rate of growth, tumour usually presents with acute abdomen.
• Unilateral in 100% cases therefore biopsy of opposite ovary is contraindicated.
• Almost all cases are associated with raised AFP and Alpha 1 antitrypsin.
• It is the most deadly malignant ovarian germ cell tumor.
• Treatment: Chemotherapy.
• It has a high propensity for rapid growth, peritoneal spread and distant hematogenous dissemination to the lungs.